Zonular cataract is seen in
1. Diabetes mellitus
2. Hypoparathyroidism
3. Gauchers disease
4. Niemann pick's disease

Correct answer: 2. Hypoparathyroidism

Explanation: Lamellar or Zonular cataract It is a developmental cataract in which the opacity occupies a discrete zone in the lens. It is the most common type of congenital cataract presenting with visual impairment. Characteristic features. Typically, this cataract occurs in a zone of foetal nucleus surrounding the embryonic nucleus. The main mass of the lens internal and external to the zone of cataract is clear, except for small linear opacities like spokes of a wheel(riders) which may be seen towards the equator. Occasionally two such rings of opacity are seen. It is usually bilateral and frequently causes severe visual defects. Ref;A.K.Khurana; 6th edition; Page no:184